The corneal transparency is maintained by
1. Keratocytes
2. Bowman's membrane
3. Descement's membrane
4. Endothelium

Correct answer: 4. Endothelium

Explanation: D i.e. Endothelium